Posterior relation of portal vein
1. 1st part of duodenum
2. Hepatic artery
3. Bile duct
4. IVC

Correct answer: 4. IVC

Explanation: The portal vein usually measures approximately 8 cm in adults. It originates behind the neck of the pancreas and is classically formed by the confluence of the superior mesenteric and splenic veins. ref - BDC 6e vol2 pg282 , researchgate.net